Most common biotype of S. aureus causing human infection-
1. B
2. C
3. D
4. A

Correct answer: 4. A

Explanation: Ans. is 'D' i.e., A o Staphylococcus aureus has been classified into six biotypes : A, B, C, D, E and F. o Most human pathogenic strains belong to biotype A.